Joint erosions are not a feature of:
1. Rhematoid arthritis
2. Psoriasis
3. Multicentric reticulohistiocytosis
4. Systemis Lupus eythematosus

Correct answer: 4. Systemis Lupus eythematosus

Explanation: SLE is an multisystem autoimmune inflammatory disorder and is known as the great mimic (since it virtually affects every organ system).